Fracture of the neck of fifth metacarpal occurs in
1. Hangman's fracture
2. Jefferson's fracture
3. Greenstick fracture
4. Boxer's fracture

Correct answer: 4. Boxer's fracture

Explanation: Fracture of the neck of fifth metacarpal occurs usually due to striking the closed hand against a firm surface(Boxer's fracture) occurs in boxers. Ref: FORENSIC MEDICINE AND TOXICOLOGY Dr PC IGNATIUS THIRD EDITION PAGE 179